Fish acts as intermediate host in -a) D. latumb) Clonorchis sinensisc) H. Diminutad) H. Nana
1. ac
2. ab
3. ad
4. bc

Correct answer: 2. ab

Explanation: Fish acts as intermediate host: Diphyllobothrium latum, Clonorchis sinensis, Paragonimus westermani (Crab fish), Metagonimus spp., Heterophyes heterophyes
In case of H. nana Human, rat and mouse acts as both definitive and intermediate host, no intermediate host.
In case of H. diminuta: Flea acts as intermediate host.